Inflammation in the airways can be reduced by : 
a) Fluticasone
b) Budesonide
c) Theophylline
d) Salbutamol
e) Ipratropium
1. ab
2. bc
3. ac
4. ad

Correct answer: 1. ab

Explanation: Steroids are anti-inflammatory drugs used in asthma.